Malaria is transmitted by –  a) Anopheles stephensi  b) Anopheles culicifacies  c) Culex  d) Phlebotomus
1. ab
2. ac
3. bd
4. cd

Correct answer: 1. ab